Black widow spider toxin is known to cause
1. Excess release of Acetylcholine
2. Decrease release of Acetylcholine
3. Inhibits synthesis of Acetylcholine
4. Blocking Active transport of ACh into synaptic vesicle

Correct answer: 1. Excess release of Acetylcholine

Explanation: Excess release of Acetylcholine Black widow spider toxin Induces massive release and depletion of acetylcholine Decrease release of Acetylcholine Botulinum toxin Inhibits synthesis of Acetylcholine Hemicholinium (HC3) blocks choline uptake (the rate limiting step in Achsynthesis) and depletes Ach Active transport of ACh into synaptic vesicle Inhibited by vesamicol